Nausea and vomiting are common in pregnancy. Hyperemesis gravidarum, however, is a much more serious and potentially fatal problem. Findings that should alert the physician to the diagnosis of hyperemesis gravidarum early in its course include.
1. Electrocardiographic evidence of hypokalemia
2. Metabolic acidosis
3. Jaundice
4. Ketonuria

Correct answer: 4. Ketonuria

Explanation: Hyperemesis gravidarum- Hyperemesis gravidarum is intractable vomiting of pregnancy. Early signs of the disorder include weight loss and ketonuria. Vomiting causes potassium loss, electrocardiographic evidence of potassium depletion, such as inverted T waves and prolonged QT and PR intervals, is usually a later finding. Liver dysfunction maybe a problem and is probably due to fatty infiltration of the liver; occasionally, acute hepatic necrosis occurs. Metabolic acidosis is uncommon.